Which of the following etching pattern is optimal for bonding?
1. Type 1
2. Type II
3. Type III
4. Type IV

Correct answer: 1. Type 1

Explanation: Three types of etched patterns are noted. They are:

 Type I: Etched enamel surface in which the center of enamel rods is dissolved with periphery intact
 Type II: There is peripheral dissolution of enamel rods
 Type III: It is a combination of the above two patterns

For optimum bond strength, Type I pattern is preferred.